Enzymes activating prodrugs of ACE inhibitors to active form is:
1. Amidases
2. Esterases
3. Angiotensin converting enzyme
4. Conjugases

Correct answer: 2. Esterases

Explanation: Captopril, lisinopril and enalaprilat are active molecules. All the drugs like Benazepril, enalapril, fosinopril, moexipril, perindopril, quinapril, ramipril and trandolapril are prodrugs. They need to be converted to active form by the enzyme hepatic Esterases. Ester moeity is removed by esterases and replaced with a hydrogen atom to form the active molecule Clinical implications: In hypertensive urgencies --> Enalapril can't be given because it is a prodrug, but its active moeity enalaprilat is used. Also caution while using in hepatic failure patients.